The major force producing part of the fixed appliance is:
1. Bracket
2. Arch wire
3. Lock pin
4. Band

Correct answer: 2. Arch wire